Asiatic cholangitis is caused by -
1. Schistosoma hematobium
2. Paragonimus Westermani
3. Clonorchis sinensis
4. Amoebiasis

Correct answer: 3. Clonorchis sinensis